Glucose diffusion in RBC by ?
1. GLUT I
2. GLUT 2
3. GLUT 3
4. GLUT 4

Correct answer: 1. GLUT I

Explanation: Ans. is 'a' i.e., GLUT 1